Which of the following is associated with secondary hyperparathyroidism -
1. Parathyroid adenoma
2. Marked hypercalcemia
3. Chronic renal failure
4. Parathyroidectomy relieves the symptoms

Correct answer: 3. Chronic renal failure

Explanation: severe secondary hyperparathyroidism occurs due to hypercalcemia associated with renal failure (Harrison 17 pg 2387)